A 60-year-old woman underwent left hemicolectomy for diverticular disease and now presents with complains of right calf pain and swelling. Investigations confirms deep vein thrombosis (DVT) of the calf. What is the most appropriate management in this case?
1. Pneumatic compression stockings
2. Heparin
3. Thrombolysis
4. Inferior vena cava filter

Correct answer: 2. Heparin

Explanation: DVT should be initially managed by heparin or low-molecular-weight heparin. Long-term management is done by anticoagulation with warfarin. Pneumatic compression stockings are helpful in patients at moderate risk for DVT as a prophylactic measure but these are not effective against established thrombosis. Inferior vena cava filter is indicated for patients not benefiting from medical treatment. Thrombolysis is done in patients with phlegmasia for relief of significant venous obstruction.